Molar ratio of sodium & glucose in WHO reduced osmolarity ORS is:
1. 1:01
2. 1:02
3. 1:04
4. 2:01

Correct answer: 1. 1:01

Explanation: Ans. A. 1:1Composition of WHO recommended ORS.Constituentg/lmmol/ion Sodium chloride2.6Sodium75Glucose, anhydrous13.5Chloride65Potassium chloride1.5Potassium20Trisodium citrate dihydrate2.9Citrate10Total Osmolarity245mosmol/L